Implosion therapy mainly comprises of
1. HOME.
2. Humor.
3. Relaxation.
4. All of the above.

Correct answer: 1. HOME.

Explanation: Implosion therapy mainly comprises of HOME, voice control and physical restraints